Ovaries develop from which of the following :
1. Genital Ridge
2. Mullerian duct
3. Endoderm of Urogenital sinus
4. Genital tubercle

Correct answer: 1. Genital Ridge

Explanation: Genital Ridge